Which of the following virus does not cause conjunctivitis:
1. CMV
2. Adenovirus
3. Herpes simplex virus
4. Picornavirus

Correct answer: 1. CMV

Explanation: Ans. A: CMV Conjunctivitis can be classified as infectious or noninfectious. Infectious conjunctivitis (pinkeye) accounts for 70 percent of all cases and is caused by either a bacteria (usually staphylococci, pneumococci, streptococci or chlamydia trachomatis) or a virus. Bacterial conjunctivitis occurs in 50 percent of all cases, and viral conjunctivitis occurs in 20 percent. Infectious conjunctivitis is very contagious. Noninfectious conjunctivitis (which accounts for the remaining 30 percent of all cases), can be caused by allergies (such as pollen or grass), chemicals (such as air pollutants, smoke or household cleaners), or underlying diseases (such as rheumatoid arthritis, lupus, Kawasaki's disease, ulcerative colitis or Crohn's disease). Additionally, conjunctivitis can be caused by hemorrhaging from trauma or changes in pressure within the head (subconjunctival hemorrhage). Viral causes of conjunctivitis: Herpes simplex Adenovirus Picornavirus (Coxsackie virus,enterovirus 70) Myxovirus (measles) Paramyxoviruses (mumps, Newcastle conjunctivitis) Molluscum contagiosum